Best gas used for creating pneumoperitonium at laparoscopy is :
1. N2
2. 2
3. CO2
4. N20 Goniometer is used

Correct answer: 3. CO2

Explanation: CO2 CO, is the gas used to create pneumoperitoneum during laparoscopy. Other option is - N20 : But it is expensive, less soluble in blood and supports combustion. Also know : Instrument used for creating pneumoperitoneum is veress needle. Flow Rate of CO, for creating pneumoperitoneum 200 - 2000 ml/min & pressure between 15 - 25 mm of Hg.